Partial or complete obstruction of some part of the C.V.S by a foreign body transported by the blood stream is termed as:
1. Thrombosis
2. Coagulation
3. Ischaemia
4. Embolism

Correct answer: 4. Embolism